Which neuromuscular blocker releases histamine
1. Pancuronium
2. Atracurium
3. Vecuronium
4. Rocuronium

Correct answer: 2. Atracurium

Explanation: Atracurium * Bisquaternary ammonium Benzylisoquinoline * ED 95 = 0.2 to 0.25mg/kg * Intubating dose- 0.5mg/kg. * Maintenance - 0.05 to 0.1mg/kg Drug of choice in patient with renal and hepaticd dysfunction * onset of action= 3-5min (0.5mg/kg) * duration of action= 20-35min * about 82% is bound to albumin * triggers dose-dependent histamine release that becomes significant at doses above 0.5 mg/kg